Phenylalanine is degraded into
1. Fumarate and succinate
2. Fumarate and acetoacetate
3. Fumarate and Malate
4. Fumarate and pyruvate

Correct answer: 2. Fumarate and acetoacetate

Explanation: Phenylalanine is first converted to tyrosine (For Subsequent metabolism of phenylalanine and tyrosine See att. Treasure. Hereditary tyrosinemia type I (Hepatorenal tyrosinemia) is due to deficiency of the enzyme fumaryl acetoacetate hydrolase (fumarylacetoacetase). Remember the enzyme deficiency - fumarylacetoacetase. That will help you to remember the end products - Fumarate and acetoacetate. Phenylalanine & tyrosine are both glucogenic and ketogenic. Fumarate is glucogenic while acetoacetate is ketogenic.